Boundries of foramen of Winslow' is formed by all except -
1. IVC
2. Liver
3. 2nd part of duodenum
4. Suprarenal gland

Correct answer: 3. 2nd part of duodenum

Explanation: Ans. is 'c' i.e., 2nd part of duodenum o Epiploic foramen (foramen of winslow or aditus to lesser sac) is a slit-like opening through which lesser sac communicates with greater sac. It is situated at the level of T12 vertebra. Its boundries areAnterior Right free margin of lesser omentum (contains portal vein, hepatic artery proper and bile duct).Posterior I VC, right suprarenal gland and T12 vertebra.Superior Caudate lobe of liver.Inferior 1st part of duodenum and horizontal part of hepatic artery.